A patient needs antibiotic treatment for artificial valve, culture-positive infective enterococcal endocarditis. His medical history includes severe anaphylactic reaction to penicillin G during the past year. The best approach would be treatment with:
1. Amoxicillin-clavulanic acid
2. Aztreonam
3. Cefazolin plus gentamicin
4. Vancomycin

Correct answer: 4. Vancomycin

Explanation: * Severe allergy to penicillins rule out the use of amoxicillin and cefazolin. * Vancomycin is highly effective against MRSA and enterococcal infections. * Drugs for VRSA and VRE (Vancomycin Resistant Enterococcus faecalis) include linezolid and daptomycin.